After a normal prenatal period, a lady developed sudden HTN and bleeding from all places. Diagnosis is:
1. DIC
2. Aplastic anemia
3. ITP
4. APLA

Correct answer: 1. DIC

Explanation: (A) DIC# Disseminated Intravascular Coagulation (DIC), also known as disseminated intravascular coagulopathy or less commonly as consumptive coagulopathy, is a pathological process characterized by the widespread activation of the clotting cascade that results in the formation of blood clots in the small blood vessels throughout the body. This leads to compromise of tissue blood flow and can ultimately lead to multiple organ damage. In addition, as the coagulation process consumes clotting factors and platelets, normal clotting is disrupted and severe bleeding can occur from various sites.> DIC can occur in the following conditions: Solid tumors and blood cancers (particularly acute promyelocytic leukemia) Obstetric complications: abruptio placentae, pre-eclampsia or eclampsia, amniotic fluid embolism, retained intrauterine fetal demise, septic abortion, post partum haemorrhage Massive tissue injury: severe trauma, burns, hyperthermia, rhabdomyolysis, extensive surgery Sepsis or Severe infection of any kind (infections by nearly all microorganisms can cause DIC, though bacterial infections are the most common): bacterial (Gram-negative and Gram-positive sepsis), viral, fungal, or protozoan infections Transfusion reactions (i.e., ABO incompatibility haemolytic reactions) Severe allergic or toxic reactions (i.e. snake or viper venom) Giant haemangiomas (Kasabach-Merritt syndrome) Large aortic aneurysms> Liver disease, HELLP syndrome, thrombotic thrombocytopenic purpura/Haemolytic uremic syndrome, and malignant hypertension may mimic DIC but do not occur via the same pathways.